Trapezius is attached to all structures EXCEPT:
1. First rib
2. Clavicle
3. Scapula
4. Occiput

Correct answer: 1. First rib

Explanation: Origin: Occipital bone, ligamentum nuchae, spinous processes of seventh cervical and all thoracic vertebrae Insertion: Clavicle, acromion, spine of scapula